Which of the following drugs has spasmolytic activity and could also be used in the management of seizure caused by an overdose of a local anesthetic?
1. Baclofen
2. Dantrolene
3. Diazepam
4. Tizanidine

Correct answer: 3. Diazepam